Incremental lines of Salter are found closer in:
1. Cellular cementum.
2. Mixed fibers cementum.
3. Acellular cementum.
4. All of the above.

Correct answer: 3. Acellular cementum.